Sympathetic stimulation causes all, except
1. Increase in heart rate
2. Increase in BP
3. Increases in total peripheral resistance
4. Increases in venous capacitance

Correct answer: 4. Increases in venous capacitance